During peristalsis which of the following is not involved?
1. NO
2. Substance P
3. Noradrenalin
4. VIP

Correct answer: 3. Noradrenalin

Explanation: Ach & Substance P are responsible for the proximal contracting segment of peristalsis NO & VIP are responsible for the distal Relaxation Ref: Ganong 25th ed/page 497